Global eradication of smallpox was done on:
1. 26th Oct 1977
2. 8th May 1980
3. 17th March 1980
4. 17th April 1977

Correct answer: 2. 8th May 1980

Explanation: Ans. (b) 8th May 1980* Last indigenous case of Smallpox in India: 77th May 1975* Last case of Smallpox in India: 24th May 1975* India declared Smallpox-free: 23 April 1977* Last case of Smallpox globally: 26th October 1977 (Somalia)* Actual last case of smallpox : 1978* Global eradication of Smallpox: 8th May 1980